Which of the following is NOT a measure of central tendency?
1. mean
2. mode
3. range
4. median

Correct answer: 3. range